Triad of leukoerythroblastosis, tear drop erythrocytes and large platelets is seen in
1. Essential thrombocytosis
2. Primary myelofibrosis
3. Myelodysplastic syndrome
4. Langerhan cell histiocytosis

Correct answer: 2. Primary myelofibrosis

Explanation: Ans. (b) Primary myelofibrosis(Ref: Robbins 9th/pg 620/630)The most characteristic peripheral blood finding in PMF is myelophthisis, defined by the presence of leukoerythro- blastosis (presence of nucleated red blood cells, metamyelocytes, myelocytes, myeloblasts, and megakaryocytes) and dacryocytosis (Tear drop RBCs)